True about the bacterial capsule is following except -
1. Prevents phagocytosis
2. Stains by Gram stain
3. Protects bacteria from enzymes
4. Lost by repeated subcultures

Correct answer: 2. Stains by Gram stain

Explanation: Slime has a little affinity for basic dyes and is not visible in gram stained smears . Special capsule staining techniques are available usually employing copper salts as mordants. Capsules may be readily demonstrated by negative staining in wet films with India ink when they are seen as clear halos around the bacteria against a black ink Ref :Ananthanarayan & paniker's Textbook of microbioagainsth edition pg no 18